The most common cause of hypoparathyroidism after thyroidectomy is:
1. Removal
2. Vascular injury
3. Hypertrophy
4. Malignancy

Correct answer: 2. Vascular injury